A child presents with malnutrition, persistent diarrhea. Apart from antibiotics what would you like to add in your prescription?
1. Zinc, Vit A, Iron
2. Zinc, Iron
3. Zinc, Vit A
4. B complex, Zinc

Correct answer: 3. Zinc, Vit A

Explanation: c. Zinc, Vit A(Ref: Nelson's 20/e p 318, Ghai 8/e p 111)High Yield PointsAn episode of diarrhea, of presumed infectious etiology, which starts acutely but lasts for > 14 daysPrinciples of management are: (i) correction of dehydration, electrolytes & hypoglycemia, (ii) evaluation for infections & their management, and (iii) nutritional therapy with supplemental multivitamins & minerals, twice the RDAVitamin A (1 lac-2 lac IU) & zinc (10-20mg/day) are supplemented as both of them enhance the recovery from persistent diarrhea.